A 10 yr old boy, unconscious with 2 days h/o fever, comes to pediatric ICU with R.R 46/min, B.P.110/80 and E1 V1 M3 on Glasgow coma scale, next step of Mx includes
1. Intubate and ventilate
2. Give 0.9% NaCl
3. Start dopamine at the rate of 1-2 g/min/kg
4. Dopamine at the rate of 1-2 g/min/kg & furosemide

Correct answer: 1. Intubate and ventilate

Explanation: There is increased respiratory rate.the child must be intubated and venilated to provide support . Reference: GHAI Essential pediatrics, 8th edition